In a normal distribution curve, the true statement is:
1. Mean = standard deviation
2. Median = standard deviation
3. Mean = 2 median
4. Mean = mode

Correct answer: 4. Mean = mode

Explanation: Ans. D: Mean = Mode In a normal distribution curve, mean, mode and median coincide Normal distribution It describes real world situations based on study results. It is used for continuous quantitative variables. It has an infinite range. It is the distribution that is normally seen. Although it is called "Normal" it applies to most biomedical measurements specially with big number of observations. It is the most important tool in analysis of epidemiological and research data. Has a Bell Shape Curve and is Symmetric It is Symmetric around a central axis (the mean) The halves of the curve are the same (mirror images) Mean = Median = Mode determine the location of the curve The total area under the curve is 1 (or 100%) Distinguishing features of normal distribution The mean +- 1 standard deviation covers 68% of the area under the curve (68% of cases) The mean +- 2 standard deviation covers 95% of the area under the curve (95% of cases) The mean +- 3 standard deviation covers 99.7% of the area under the curve (almost all cases)